The first orthodontic appliance devised by angle was
1. Edgewise
2. Pin and tube appliance
3. E - arch
4. Ribbon arch

Correct answer: 3. E - arch